In a state during 2017, approximately 10% of all deaths in age group 0 to 14 years were due to accidents and injuries, while in the age group 15 to 35 years, 20% of all deaths were due to accidents and injuries. How many times is the risk of dying due to accidents and injuries among 15 to 35 years as compared to 0 - 14 years?
1. 2
2. 0.5
3. 1
4. Cannot be concluded from the data

Correct answer: 4. Cannot be concluded from the data

Explanation: The % of deaths is actually PMRs (proportional mortality ratios) for the two age groups. The PMR gives up the proportion of deaths that are due to a given cause out of the total deaths but does not give us the risk of dying due to that disease. The risk of death due to accidents and injuries in a particular age group would be given by the age and cause-specific mortality rate. Ref : Park 23rd edition Pgno : 405